Vascular inflow occlusion of the liver is by
1. Clamping the hepatic artery
2. Occluding the portal vein
3. Clamping the hepatic veins
4. The pringle maneuver

Correct answer: 4. The pringle maneuver

Explanation: Pringle Maneuver (Total inflow occlusion) Total clamping of the hepatic pedicle, by placing an atraumatic clamp across the foramen of Winslow Appropriate sized vascular clamp or loop snare easily controls hemorrhage from either the portal vein or the hepatic arteries Inflow occlusion durations of upto 39 minutes can be tolerated safely in cirrhotic livers and possibly upto 60 minutes in early disease If Prolonged occlusion is required, intermittent clamping can be used with repeated clamping of 10-20 minutes duration, each followed by 5 minutes declamping Ref: Sabiston 20th edition Pgno : 439